A most characteristic feature of atopic dermatitis is -
1. Extreme pruritus
2. Denny Morgan folds
3. Lichenification
4. Rash

Correct answer: 1. Extreme pruritus

Explanation: Ans. is 'a' i.e., Extreme pruritus "Itching is severe and primary in atopic eczema, provoking a severe urge to scratch; atopic eczema is one of the most itchy disorders. It is an itch that rashes not just a rash that itches". -Venkatram